The success or failure of direct pulp capping depends on:
1. Quality and amount of blood flow
2. History of previous pain
3. Age of the patient
4. All of the above

Correct answer: 4. All of the above

Explanation: The  direct  pulp  capping  procedure  has  been  known to be most  successful  in  younger  teeth  where  a  mechanical exposure is  a  dry sterile  field.